Which of the following is true about Repaglinide?
1. It belongs to sulfonylurea class of drugs
2. It is not well absorbed on oral administration
3. It is used to control sleep time hyperglycemia
4. It should be avoided in patients with liver diseases

Correct answer: 4. It should be avoided in patients with liver diseases

Explanation: Ans. is 'd' i.e., It should be avoided in patients with liver diseasesRef: KDT 7/e p. 2731Repaglinide:This meglitinide analogue oral hypoglycaemic is designed to normalise mealtime glucose excursions.Though not a sulfonylurea, it acts in an analogous manner by binding to SUR closure of ATP dependent K+ channels depolarisation insulin release.Repaglinide is indicated only in selected type 2 diabetics who suffer pronounced postprandial hyperglycaemia, or to supplement metformin/long-acting insulin.It should be avoided in liver disease,